According to Miller's classification of increased tooth mobility, grade 3 would be
1. 0.1 to 0.2 mm in horizontal direction
2. Upto 1mm in horizontal direction
3. > lmm in horizontal direction
4. Mobility in horizontal and vertical direction

Correct answer: 4. Mobility in horizontal and vertical direction